Abductor of larynx is
1. Cricothyroid
2. Posterior cricoarytenoid
3. Thyro arytenoid
4. Lateral cricoarytenoid

Correct answer: 2. Posterior cricoarytenoid

Explanation: movements and muscles Elevation of larynx; thyrohyoid, mylohyoid Depression of larynx; sternothyroid, sternohyoid Opening inlet of larynx; thyroepiglottic Closing inlet of larynx: aryepiglottic Abductor of vocal cords: posterior cricoarytenoid only Adductor of vocal cords: lateral cricoarytenoid transverse and oblique arytenoids Ref BDC volume 3,sixth edition